Oncogenic RNA virus is -
1. An leukosis virus
2. Herpes virus
3. Adenovirus
4. Togavirus

Correct answer: 1. An leukosis virus

Explanation: only an leukosis viruse are RNA viruses(retro virus)others are DNA virus REF:MICROBIOLOGY ANANTHA NARAYANAN NINTH EDITION PAGE.565